Left atrial filling pressure closely approximates
1. Pulmonary capillary wedge pressure
2. Central venous pressure
3. Intrapleural pressure
4. Intracranial pressure

Correct answer: 1. Pulmonary capillary wedge pressure